Glucose diffusion in RBC by -
1. GLUT 1
2. GLUT 2
3. GLUT 3
4. GLUT 4

Correct answer: 1. GLUT 1

Explanation: Ans. is 'a' i.e., GLUT 1 o GLUT 1 is present in placenta, BBB, RBC, kidney and colon. FunctionMajor sites of expressionSecond ary active transport(Na+-glucose cotransport) o SGLT 1o SGLT 2Absorption of glucoseAbsorption of glucoseSmall intestine, renal tubulesRenal tubulesFacilitated diffusiono GLUT 1Basal glucose uptakePlacenta, Blood-brain barrier, brain, RBC,Kidney, colono GLUT 2B-cell glucose sensor.Transport out of intestinal and renal epithelial cellsB cells of islets, liver, epithelial cells of small intestine & Kidney-o GLUT 3Basal glucose uptakeBrain, Placenta. Kidneyo GLUT4Insulin-stimulating glucose uptakeSkeletal and cardiac muscle.Adipose tissueo GLUT 5Fructose transportjejunum, spermo GLUT 6NonePseudogeneo GLUT 7G-6-P transporter in ERLiver